pKa of lidocaine:
1. 8.1
2. 8.9
3. 7.8
4. 7.6

Correct answer: 3. 7.8

Explanation: Lidocaine hydrochloride is very soluble in water and alcohol and soluble in chloroform, but it is insoluble in ether. Lidocaine hydrochloride has a pKa of 7.86. Gebauer et al. developed a method for the study of lidocaine and oxycodone stability in a rectal gel.
The dissociation constants (pKa) for popular local anesthetics used in dentistry are:
Mepivacaine 7.6
Etidocaine 7.7
Lidocaine 7.9
Prilocaine 7.9
Bupivacaine 8.1
Tetracaine 8.5
Procaine 9.1
Ref: Monheim’s Local anesthesia 1st  ed page no 130